Which of the following protein inhibits heme loss from plasma?
1. Ferritin
2. Hemopexin
3. Ceruloplasmin
4. Hemosiderin

Correct answer: 2. Hemopexin

Explanation: Hemopexin Binds to porphyrins, particularly heme for heme recycling which prevent heme loss from plasmaFerritin is an intracellular protein that stores and releases iron Ferritin molecules in lysosomal membranes may aggregate in deposits that contain as much as 50% iron. These deposits are called hemosiderin. Ceruloplasmin- Transport of copper